Best position for chest X-ray to detect minimal right pleural effusion:
1. Erect
2. Supine
3. Left lateral decubitus
4. Right lateral decubitus

Correct answer: 4. Right lateral decubitus

Explanation: Ans. D: Right lateral decubitus Positioning in lateral decubitus view: Patient lies a) on the affected side to demonstrate fluid in pleural cavity, or b) on the non-affected side to demonstrate the air in pleural cavity X-rays: Discovered by William Roentgen X-rays are modified electrons X-ray differ from light in energy status Target material in X-ray: Tungsten Contrast in X-ray is dependent on: Kv Filters which are used in radiology leads to: Beam of greater intensity Grid: Reduce scattered radiation